HIV can -a) Cross blood brain barrierb) RNA virusc) Inhibited by 0.3% H2O2 d) Thermostable
1. abc
2. bc
3. acd
4. bcd

Correct answer: 1. abc